A patient has serum creatinine of 150-300 micromol/L. Which of the following require dosage reduction:
1. Ampicillin
2. Isoniazid
3. Gentamycin
4. Penicillin

Correct answer: 3. Gentamycin

Explanation: Ans. C: Gentamycin Drugs whose dosage are affected in mild renal insufficiency (GFR 20-50 mL/ min or serum creatinine 150-300 micromol/L) are: ACE inhibitors, Aminoglycosides, chlorpropamide, digoxin, fibrates, lithium and zidovudine